Sharpening of dental instruments is helpful in increasing efficiency because
1. reduce slippage and less tissue damage
2. increase tactile sensation
3. decrease muscle fatigue
4. all the above

Correct answer: 4. all the above